Aspirin inhibits which of the following enzymes
1. Lipoprotein lipase
2. Lipo oxygenase
3. Cyclooxygenase
4. Phospholipase d

Correct answer: 3. Cyclooxygenase

Explanation: Aspirin is an NSAIDs and acts by Irreversible inhibition of cyclooxygenase enzyme that decreases the formation of prostaglandins. Refer katzung 10/e p554 KDT 6/e p185